Treatment of choice in Saddle nose is
1. Augmentation Rhinoplasty
2. SMR
3. FESS
4. None of the above

Correct answer: 1. Augmentation Rhinoplasty

Explanation: Treatment of choice in saddle nose deformity - Augmentation rhinoplastyEtiology- Trauma, Leprosy, TB, Syphilis, LupusGraft materials used- Conchal, Septal or rib cartilage, Iliac crest bone, Silicone, and TeflonRef: Hazarika; 3rd ed; Pg 410